Ganser syndrome is a feature of
1. OCD
2. Conversion disorder
3. Dissociative disorder
4. Schizoid personality disorder

Correct answer: 3. Dissociative disorder

Explanation: Dissociative Disorders Ganser's syndrome ( hysterical pseudodementia) is commonly found in prison inmates. The characteristic feature is vorbeireden, which is also called as 'approximate answers'. The answers are wrong but show that the person understands the nature of the question asked. For example; when asked the colour of a red pen, the patient calls it blue. Ref: A Short Textbook of Psychiatry, Niraj Ahuja, 7th Edition, pg. no. 102